Role of growth hormone in spermatogenesis
1. Late division of spermatocytes
2. Early division of spermatogonia
3. Formation of acrosome
4. Stimulation of Sertoli and Leydig cells

Correct answer: 2. Early division of spermatogonia

Explanation: Growth hormone (as well as most of the other body hormones) is necessary for controlling background metabolic functions of the testes. Growth hormone specifically promotes early division of the spermatogonia themselves; in its absence, as in pituitary dwarfs, spermatogenesis is severely deficient or absent, thus causing infertility.